Peutz Jegher’s syndrome shows
1. Multiple brown pigmentation
2. Coffee pigmentation
3. Creamy pigmentation
4. Solitary brown pigmentation

Correct answer: 1. Multiple brown pigmentation